Treatment of choice for polyuria in lithium induced diabetes insipidus is:
1. Vasopressin
2. Mineralocorticoid antagonist
3. Amiloride
4. Loop diuretic

Correct answer: 3. Amiloride

Explanation: Answer is C (Amiloride): Amiloride is currently the treatment of choice for polyuria in lithium induced diabetes insipidus. Amiloride a potassium-sparing diuretic is the drug of choice to treat polyuria and raise maximum urinary osmolality in lithium-treated patients. Amiloride blocks the cellular uptake of lithium ENaC, thus antagonizing the inhibitory effects of Lithium on Vasopressin induced water transport